Ablation of the `somatosensory area I' of the cerebral cortex leads to
1. Total loss of pain sensation
2. Total loss of touch sensation
3. Loss of tactile localization but not of two point discrimination
4. Loss of tactile localization and two point discrimination

Correct answer: 4. Loss of tactile localization and two point discrimination

Explanation: Somatosensory cortex lesion - proprioception and tactile sensations are lost while pain and temperature sensations are preserved.